Which of the following is not true regarding infrabulge clasp
1. It is esthetic
2. Increased retention without tipping
3. More chances of accidental distortion
4. Approaches abutment from gingival side

Correct answer: 3. More chances of accidental distortion

Explanation: Some of the advantages attributed to the infrabulge clasp are,

Its interproximal location, which may be used to esthetic advantage.
Increased retention without tipping action on the abutment.
Less chance of accidental distortion, resulting from its proximity to the denture border.